Neuropathy is not see in-
1. Tuberculosis
2. SLE
3. Polyarteritis nodosa
4. Sarcoidosis

Correct answer: 1. Tuberculosis